CAT was invented by–
1. Hounsfield
2. Roentgen
3. Cormack
4. Tesla

Correct answer: 1. Hounsfield

Explanation: A new method of forming images from X-rays (i.e. CT/CAT) was developed and introduced into clinical use by a British physicist Godfrey Hounsfield in 1972.